Acute symptomatic seizures usually occur within how much time of an acute neurological injury such as trauma or hypoxia?
1. 1 day
2. 1 week
3. 1 month
4. 1 year

Correct answer: 2. 1 week

Explanation: Acute symptomatic seizures: usually occur within 1 week of an acute neurological injury like trauma, hypoxia, stroke, infection or inflammation of brain and within 24 hours of acute metabolic derangements. Treatment: Anti-epileptics are given & discontinued after 3-6 months if awake & sleep EEG records are normal